All of the following metabolic functions occur in the mitochondria, Except:
1. Beta-oxidation of fatty acids
2. Biosynthesis of fatty acids
3. Protein synthesis
4. Citric acid cycle

Correct answer: 2. Biosynthesis of fatty acids

Explanation: B i.e. Biosynthesis of fatty acids